The therapeutic index of a drug is a measure of its
1. Safety
2. Potency
3. Efficacy
4. Dose variability

Correct answer: 1. Safety

Explanation: Safety is indicated by TI.drug having a TI of more than 1 is considered to be safe when compared to drug having a TI of less trhan one which requies constant plasma monitoring. Ref: KDT 6/e pg 48.